The function common to neutrophils, monocyte & macrophages is
1. Immune response
2. Phagocytosis
3. Liberation of histamine
4. Destruction of old erythrocytes

Correct answer: 2. Phagocytosis

Explanation: Neutrophils, monocyte & macrophages are the part of phagocytosis not the part of immunty. Cellular Components and Phagocytosis Therefore, phagocytes, present in the blood, lymphoid tissue, liver, spleen, lung, and other tissues, are the cells responsible for the uptake and removal of foreign antigen. Phagocytes include (1) monocytes and macrophages; (2) granulocytes, including neutrophils, eosinophils, and basophils; and (3) dendritic cells. Histamine is released by mast cells . Destruction of old erythrocytes is by splenic tissue.